All are clinical manifestations of Felty's syndrome except:
1. Rheumatoid arthritis
2. Splenomegaly
3. Neutropenia
4. Nephropathy

Correct answer: 4. Nephropathy

Explanation: Felty's syndrome is characterized by Rheumatoid arthritis with splenomegaly and neutropenia Caplan syndrome is Rheumatoid arthritis in association with coal worker pneumoconiosis Felty Syndrome affects approximately 1-3% of all patients diagnosed with RA Many years of aggressive destructive rheumatoid arthritis (RA) precede the onset of Felty syndrome (FS). On occasion, RA and FS develop simultaneously. The extraarticular manifestations of RA (e.g, rheumatoid nodules, pleuropericarditis, vasculitis, peripheral neuropathy, episcleritis, other forms of eye involvement, Sjogren syndrome, adenopathy, skin ulcers) are more common in patients who develop Felty Syndrome.